Denominator while calculating the secondary attack rate includes:
1. All the people living in next fifty houses
2. All the close contacts
3. All susceptibles amongst close contact
4. All susceptibles in the whole village

Correct answer: 3. All susceptibles amongst close contact